Miliaria is a disorder of-
1. Sebaceous glands
2. Apocrine glands
3. Eccrine glands
4. Holocrine glands

Correct answer: 3. Eccrine glands

Explanation: Miliaria is a disease of eccrine sweat glands. In this, obstruction to the eccrine sweat ducts results in sweat retention Reference Harrison20th edition pg 1205